Danger space is located between:
1. Buccopharyngeal and alar fascia
2. Alar fascia and prevertebral fascia
3. Buccopharyngeal and mandible
4. Capsule of tonsil and superior constrictor muscle

Correct answer: 2. Alar fascia and prevertebral fascia

Explanation: (b) Alar fascia and prevertebral fascia(Ref. Scott Brown, Vol 3; 551)In between buccopharyngeal and alar fascia is the retropharyngeal space.In between buccopharyngeal and mandible is the parapharyngeal space.In between capsule of tonsil and superior constrictor muscle is peritonsillar space.